Euvolemic hyponatremia is seen in:
1. Adrenocortical failure
2. Burns
3. SIADH
4. Cirrhosis

Correct answer: 3. SIADH

Explanation: Ans. C. SIADHHypervolemic hyponatremia -- Both sodium & water content increase: Increase in sodium content leads to hypervolemia and water content to hyponatremia. Total body water and sodium are regulated independently* Cirrhosis of the liver* Congestive heart failure* Nephrotic syndrome in the kidneys* Massive edema of any causeEuvolemic hyponatremia -- there is no volume expansion in the body, no edema, but hyponatremia occurs* States of severe pain or nausea* In the setting of trauma or other damage to the brain* SIADH (and its many causes)* Hypothyroidism* Glucocorticoid (steroid) deficiencyHypovolemic hyponatremia -- THE hypovolemia (extracellular volume loss) is due to total body sodium loss. The hyponatremia is caused by a relatively smaller loss in total body water.* Any cause of hypovolemia such as prolonged vomiting, decreased oral intake, severe diarrhea* Diuretic use (due to the diuretic causing a volume depleted state and thence ADH release, and not a direct result of diuretic-induced urine sodium loss)* Addison's disease and congenital adrenal hyperplasia in which the adrenal glands do not produce sufficient steroid hormones (combined glucocorticoid and mineralocorticoid deficiency)